Which one of the following is the most preferred route to perform cerebral angiography?
1. Transfemoral route
2. Transaxillary route
3. Direct carotid puncture
4. Transbrachial route

Correct answer: 1. Transfemoral route

Explanation: The most preferred route to perform cerebral angiography is the transfemoral route. Puncture of axillary artery or direct puncture of the carotid artery are rarely performed.